A young runner with history of seasonal running nose, complains of sudden onset dyspnea early morning that improved after 2-3 hours. He has history of similar episodes in the past.on examination, patient is tachypneic, diffuse polyphonic expiatory wheeze heard on auscultation of chest, His x-ray is  normal. All except one is true regarding the clinical scenario.
1. Diffusion Lung capacity for carbon monoxide is Normal
2. FEV1% is decreased
3. Necrosis of airways
4. Microvascular leakage resulting in airway edema.and plasma exudation into airway lumen

Correct answer: 3. Necrosis of airways

Explanation: Clinical features are suggestive of Bronchial Asthma. There is no necrosis of airway in Bronchial Asthma.